Under the WHO 'Vision 2020' programme, the `SAFE' strategy is adopted for which of the following diseases –
1. Trachoma
2. Glaucoma
3. Diabetic retinopathy
4. Onchocerciasis

Correct answer: 1. Trachoma

Explanation: SAFE strategy developed by the WHO is the key to the treatment of trachoma. This consists of Surgery (S) on the
lids. Antibiotics to treat the community pool of infection (A), Facial cleanliness (F) ; and Environmental changes
Blindness From Trachoma Can Be Stopped At Four Different points : SAFE
S -  Surgical correction for trichiasis. It is a simple operation that can turn out lashes which are scratching the cornea. patients can be operated on in a local dispensary or health center, or other community space if properly prepared. The surgical procedure can be performed by those who have had surgical training : eye doctors, eye nurses or eye care assistants.
A -  Antibiotic treatment of people with active trachoma infection.Regular detection and treatment of people with active trachoma is important. The recommended treatment is as follows :

Wash the face and clean the eyes
Apply tetracycline 1% ointment to both eyes two times daily for six weeks
The ointment is sticky and may blur the vision for a few moments. This will only last a few moments. If possible, treat all the children in the family.

F - Clean Faces
Families and individuals can do something to protect themselves from infection by increasing the number of times a child washes his/her face. Regular face washing removes discharge so that flies are not attracted to faces. It does not require great quantities of water : one liter of water can wash up to 30 faces.
E - Environmental Improvement
GET 2020 : A global initiative to eliminate trachoma as a blinding disease, entitled GET 2020 (Global Elimination of Trachoma), was launched under WHO's leadership in 1997. VISION 2020 national plans that address trachoma are written in line with the GET 2020 "SAFE" strategy